Best method of contrception in a commercial sex worker -
1. IUCD
2. OCP
3. Permanent sterilization
4. Barrier methods

Correct answer: 4. Barrier methods

Explanation: park's textbook of preventive and social medicine 23rd edition. *barrier method,non contraceptive advantages includes some protection from sexually transmitted disease ,a reduction in incidence of PID and some protection from risk of cervical cancer.